Spontaneous regression can occur with
1. Cavernous hemangioma
2. Strawberry angioma
3. Nevus flemes
4. None

Correct answer: 2. Strawberry angioma

Explanation: The hemangioma is a common type of vascular birthmark. It is usually painless and harmless and its cause is not known. Color from the birthmark comes from the extensive development of blood vessels at the site. Strawberry hemangiomas (also called strawberry mark, nevus vascularis, capillary hemangioma, hemangioma simplex) may appear anywhere on the body, but are most common on the face, scalp, back, or chest. They consist of small, closely packed blood vessels. They may be absent at birth, and develop at several weeks. They usually grow rapidly, remain a fixed size, and then subside. In most cases, strawberry hemangiomas disappear by the time a child is 9 years old. Some slight discoloration or puckering of the skin may remain at the site of the hemangioma.